Russel bodies are seen in:
1. Lymphocytes
2. Neutrophils
3. Macrophages
4. None of the above

Correct answer: 4. None of the above

Explanation: None of the above